All open into hiatus semilunaris except
1. Posterior ethmoid sinus
2. Anterior ethmoid sinus
3. Frontal sinus
4. Maxillary sinus

Correct answer: 1. Posterior ethmoid sinus

Explanation: Hiatus semilunaris. The hiatus semilunaris is a semicircular shaped openinglocated on the lateral wall of the nasal cavity. It is a component of the ostiomeatal complex and serves as the opening for the frontal and maxillary sinuses and the anterior ethmoid air cells.